Lateral medullary syndrome (Wallenberg syndrome) is characterized by all, Except :
1. Giddiness
2. Dysphagia
3. Crossed hemianaesthesia
4. Homer's syndrome is rare

Correct answer: 4. Homer's syndrome is rare

Explanation: Answer is D (Horner's syndrome is rare): Horner's syndrome forms part of the constellation of manifestations seen in lateral medullary syndrome or Wallenberg syndrome. It is produced as a result of infUrction of the descending sympathetic tract. Ipsilateral Homer's syndrome